Death occurs faster in:
1. Fresh water drowning
2. Salt water drowning
3. Near drowning
4. Warm water drowning

Correct answer: 1. Fresh water drowning

Explanation: Ans. Fresh water drowning